Pheochromocytoma is a neoplasm derived from
1. Chromaffin cells
2. Paraganglia in neck
3. An adrenal gland tumor due to nephrogenic rest
4. Primitive totipotential cells

Correct answer: 1. Chromaffin cells

Explanation: Pheochromocytomas are neoplasms composed of chromaffin cells, which synthesize and release catecholamines and in some instances peptide hormones. Pheochromocytomas that develop in extra-adrenal paraganglia are designated paragangliomas Robbins 9e pg: 1134 Ref img